Which of the following is not true about hydatid cyst of liver?
1. Surgical management is done
2. Conservative treatment is effective in elderly with small cyst
3. Mostly in left lobe
4. CT shows Ring like calcification .

Correct answer: 3. Mostly in left lobe

Explanation: Hydatid cyst Usually involves Right lobe of liver . IOC is Hydatid Serology USG - Rosette appearance CT - Ring like calcification Treatment Most cysts are managed surgically and PAIR is most preferred technique for Anatomically & Surgically appropriate lesions. Conservative treatment is effective in elderly with small cyst .